Absence seizures are seen in:
1. Grand mal epilepsy
2. Myoclonic epilepsy
3. Petitmal epilepsy
4. Hyperkinetic child

Correct answer: 3. Petitmal epilepsy

Explanation: Ans. is 'c' Petit mal epilepsy "Absence seizures or (Petit mal epilepsy is characterized by sudden, brief lapses of unconsciousness without loss of postural control line seizures typically lasts for only seconds, consciousness return as suddenly it was lost, and there is no postictal confusion.Absence seizures are usually accompanied by subtle, bilateral signs such as rapid blinking of eyelids, chewing movements or small amplitude clonic movements of the hand"